Commonest complication of immunosuppression is?
1. Malignancy
2. Graft rejection
3. Infection
4. Thrombocytopenia

Correct answer: 3. Infection

Explanation: Ans is c i.e. Infection